After a orawl, a young male presented 6, itti inability to extend his distal interphalangeal joint. An X-ray was taken and was shown to be normal. What should be the next step in managing the patient?
1. Splint
2. Surgery
3. Wax bath
4. Ignore

Correct answer: 1. Splint

Explanation: Ans. a. Splint